Actinomycosis is sensitive to -
1. Streptomycin
2. Nystatin
3. Pencillin
4. Iodox - uridine

Correct answer: 3. Pencillin

Explanation: • Actinomycosis is a granulomatous suppurative bacterial disease caused by Actinomyces.
• Usually results following tooth extraction, odontogenic infection, or facial trauma.
Clinical Features
• Oral-cervicofacial disease is the MC form, characterized by a painless "lumpy jaw."
• Pelvic actinomycosis is a rare but proven complication of use of intrauterine devices.
Diagnosis
• Accurate diagnosis depends on careful histologic analysis.
• Presence of sulfur granules within purulent specimen is pathognomonic.
Treatment
• Penicillin and sulfonamides are typically effective against these infections.